Nearly 20% of normal tensile strength of tissue at the site of wound is gained after:
1. 1 week of wound healing
2. 2 weeks of wound healing
3. 3 weeks of wound healing
4. 4 weeks of wound healing

Correct answer: 3. 3 weeks of wound healing

Explanation: Ans. C: 3 weeks of wound healing When tissue is damaged, platelets adhere to exposed matrix integrins that bind to collagen and laminin. Blood coagulation produces thrombin, which promotes platelet aggregation and granule release. The platelet granules generate an inflammatory response. White blood cells are attracted by selections and bind to integrins on endothelial cells, leading to their extravasation through the blood vessel walls. Cytokines released by the white blood cells and platelets up-regulate integrins on macrophages, which migrate to the area of injury, and on fibroblasts and epithelial cells, which mediate wound healing and scar formation. Plasmin aids healing by removing excess fibrin. This aids the migration of keratinocytes into the wound to restore the epithelium under the scab. Collagen proliferates, producing the scar. Wounds gain 20% of their ultimate strength in 3 weeks and later gain more strength, but they never reach more than about 70% of the strength of normal skin.